A small Ca2+ binding protein that modifies the activity of many enzymes and other proteins m response to changes in Ca2+ concentration, is known as
1. Cycline
2. Calmodulin
3. Collagen
4. Kinesin

Correct answer: 2. Calmodulin

Explanation: Calmodulin is a calcium-binding regulatory protein, with a molecular weight of 17,000 daltonsIt can bind with 4 calcium ionsCalcium binding leads to activation of enzymes. It is a part of various regulatory kinasesRef: DM Vasudevan, 7th edition, page no: 503, 504